The success of a free gingival graft procedure depends upon which of the following
1. The graft being immobilized at the recipient site
2. The donor tissue being as thick as possible and containing periosteum
3. A thick blood clot remaining between the recipient and donor tissue
4. Periosteal fenestration being present

Correct answer: 1. The graft being immobilized at the recipient site